Which of the following is a new drug approved for the treatment of Breast Cancer?
1. Trametinib
2. Ruxolitinib
3. Palbociclib
4. Cobimetinib

Correct answer: 3. Palbociclib

Explanation: Palbociclib: MOA: It acts by inhibiting CDK-4, CDK-6. ROUTE: Oral drug USES: It is approved for Advanced or Metastatic Breast Cancer (ER+ve and HER2-ve) S/E: Neutropenia, Leukopenia, infections, stomatitis, fatigue, nausea, anemia, headache, diarrhea and Thrombocytopenia. Palbociclib is a substrate and an inhibitor of CYP3A4 . Patients should avoid concomitant use of strong CYP3A inhibitors (Indinavir, Itraconazole, Ketoconazole, Lopinavir/Ritonavir etc). Patients should avoid breastfeeding while taking palbociclib. Ruxolitinib It is Janus Kinase inhibitor used for Myelofibrosis Trametinib It is MEK inhibitor used for Malignant Melanoma in combination with Dabrafenib (BRAF inhibitor) Cobimetinib It is MEK inhibitor used for Malignant Melanoma in combination with Vemurafenib (BRAF inhibitor)